Auditory pathway passes through:
1. Medial geniculate body
2. Lateral geniculate body
3. Reciculate formation
4. Cerebellar fornix

Correct answer: 1. Medial geniculate body

Explanation: Ans. A Medial geniculate body I. Auditory pathway: SC-SLIM-41,42 II. S- Spiral ganglia (cochlea) III. C- Cochlear nuclei (ponto-medullary junction) IV. S-Superior olivary nucleus (pons) V. L-Lateral lemniscus (brain stem) VI. I-Inferior colliculus (mid-brain) VII. M-Medial geniculate body (meta-thalamus) VIII. 41,42 - Brodmann area (cerebral cortex)